Rapid urea breath test is positive in?
1. H pylori
2. Klebsella
3. Proteus
4. Ureoplasma

Correct answer: 1. H pylori

Explanation: Ans. (a) H pyloriRef: Harrison's 17/e, table 144-1